Which of the following are normal findings in a term neonate, EXCEPT?
1. Mongolian spots
2. Erythema toxicum
3. Subconjunctival hemorrhages
4. Erythema nodosum

Correct answer: 4. Erythema nodosum

Explanation: Normal finding in a Term Neonate are: Mongolian spots Erythema toxicum Stork bites Milia Peeling of skin Subconjunctival hemorrhages Breast engorgement Epstein Pearl Pre-deciduous teeth Vaginal bleeding on 3rd to 7th day Vaginal mucoid discharge Physiological phimosis Hymenal tags Cephalhematoma Caput succedaneum Ref: O.P.Ghai, 6th Edition, Pages 146-47